Which of the following is ideal site for harvesting bone graft-
1. Iliac crest
2. Distal end of the humers
3. Distal end of femur
4. Fibula

Correct answer: 1. Iliac crest

Explanation: Cancellous bone can be obtained from the thicker portions of the ILIUM, greater trochanter, proximal metaphysis of the tibia, lower radius, olecranon, or from an excised femoral head. Cortical autografts can be harvested from any convenient long bone or from the ILIAC CREST ; they usually need to be fixed with screws, sometimes reinforced by a plate and can be placed on the host bone, or inlaid, or slid along the long axis of the bone. REF:Apley 's system of orthopaedics- 9th edn - pg no 811.